'C' in CRP stands for
1. Concanavalin A
2. Cellular
3. C polysaccharide of pneumococcus
4. Chondroitin sulfate in series following ARP and BRP

Correct answer: 3. C polysaccharide of pneumococcus

Explanation: C i.e. C polysaccharide of pneumococcus C-reactive protein (CRP), discovered by Tillet and Francis in 1930, is so named because it reacts with the C polysaccharide of pneumococci.Q Acute phase proteins (or reactants) are proteins that increase during acute inflammatory states or secondary to certain types of tissue damages. These include - al- antitrypsin, al acid glycoprotein, CRP, haptoglobin and fibrinogee. Interleukin-1 (IL-1), a polypeptide released from mononuclear phagocytic cells, is the principal - but not the sole -stimulator of synthesis of majority of acute phase reactants by hepatocytes. Cytokine IL-6 are also involved. Nuclear factor Kappa-B (NFKB) is a transcription factor that has been involved in the stimulation of synthesis of acute phase proteins. CRP (a type of pentraxin protein) is synthesized by liver in response to factors released by fat cells. It binds to phosphotholine expressed on surface of dead or dying cells in order to activate classic complement pathway C1q. Its level is mainly determined by rate of production (rises within 6 hours, peak in 48 hours & t1/2 is constant)